The drug of choice in scleroderma induced hypertensive crisis is
1. ACE inhibitor
2. Thiazides
3. Beta blockers
4. Sodium nitroprusside

Correct answer: 1. ACE inhibitor

Explanation: Refer kDT 7/e p 505 Blood pressure control is the mainstay of therapy in sclerodermarenal crisis. ... An ACE inhibitor is the agent of choice, leading to an improvement in blood pressure in up to 90% of patients by reversing the angiotensin II-inducedvasoconstriction.